All of the following are pharmacological effects of ketamine, EXCEPT
1. It causes profound analgesia
2. It causes severe fall in blood pressure
3. It causes amnesia
4. It increases cerebral blood flow

Correct answer: 2. It causes severe fall in blood pressure

Explanation: Ans. (b) It causes severe fall in blood pressureRef.: KDT 6th ed. / 376Ketamine causes increase in blood pressure.* Ketamine is the only intravenous anesthetic that possesses analgesic properties and produces cardiovascular stimulation.* It causes "dissociative anesthesia" which is characterized by profound analgesia, immobility, amnesia and feeling of dissociation from ones own body and the surrounding.* In addition it also causes:# Hallucination# Delusion and illusion.# Profound analgesia* Ketamine increases all pressures like:# BP (hypertension)# Intracranial tension (ICT)# Intraocular pressure (IOP)* It is contraindicated in intracerebral mass/hemorrhage.About Ketamine: (Remembered as:)KKids: can be given to kidsEEmergence reaction: s/e occurring during recoveryTThalamo-cortical junction affected: Dissociative AnesthesiaAAnalgesia strongestMMeal: can be given with full stomachIIncrease: BP/IOP/ICTNNMDA receptor blockerEExcellent bronchodilator: inducing agent of choice in asthma patient.Also Kno* PROPOFOL causes myocardial depression and fall in BP.